Sensation of proprioception is transmitted by;
1. A alpha
2. A beta
3. A gamma
4. A delta

Correct answer: 1. A alpha

Explanation: (Refer: Ganong’s Review of Medical Physiology, 24th edition, pg no: 92-94)
Numerical Classification of Sensory Fibres